The commonest cause of Bacterial Pneumonia in children is -
1. Streptococcus pyogenes
2. Hemophilus influenzae
3. Streptococcus pneumoniae
4. Staphylococcus aureus

Correct answer: 3. Streptococcus pneumoniae

Explanation: Ans. is 'c' i.e., Streptococcus Pneumonia Pneumonia Pneumonia is an inflammation of the parenchyma of lungs. o Most of the infective pneumonia are caused by bacteria and viruses. Bacterial causes Streptococcus pneumoniae (pneumococci) is the most common bacterial pathogens followed by chlamydia pneumoniae and mycoplasma pneumoniae. So, three most common bacterial causes are --> Pneumococci, Mycoplasma pneumoniae, Chlamydia pneumoniae o Other bacteria --> Streptococcus pyogenes, Staphylococcus aureus, H. influenzae